Which of the following is an anti-pseudomonal drug of penicillin class:
1. Nafcillin
2. Dicloxacillin
3. Piperacillin
4. Cloxacillin

Correct answer: 3. Piperacillin

Explanation: Ans. C i.e. Piperacillin Extended-spectrum penicillin It is a group of antibiotics that has the widest antibacterial spectrum of all penicillins. It is also called antipseudomonal penicillins. This group includes the Aminopenicillins: Amoxicillin Ampicillin Epicillin - Carboxypenicillins: Ticarcillin Carbenicillin Ureidopinicillin Azlocillin Mezlocillin Piperacillin - Mecillinam